A lady in the second trimester underwent a hemogram and her hemoglobin was found to be 6mg%. The gynaecologist suggested for IV transfusion of packed red cells to improve the level.

The most common oral change due to nutritional anemia is
1. Enlarged tongue
2. Atrophic glossitis
3. Generalized osteolysis
4. Focal marrow expansion

Correct answer: 2. Atrophic glossitis